Curschmann spirals and flattening of diaphragm is seen in:
1. Asthma
2. COPD
3. Silicosis
4. Pulmonary embolism

Correct answer: 1. Asthma

Explanation: Ans. (a) AsthmaRef: Harrison 19th ed. /1675* Flattening of diaphragm is seen with obstructive airway diseases due to the process of air trapping.* The point that clinches the diagnosis in favor of asthma is the curschmann spirals which represent the cast of the airways formed by mucus plugs in small airways in these patients.